A 40 year old male smoker was diagnosed to have carcinoma of the right lung. Bronchogram showed the presence of a tumor, causing partial occlusion of the eparterial bronchus. Which of the following bronchopulmonary segments receive decreased airflow?
1. Anterior, posterior, medial
2. Apical, anterior, posterior
3. Lateral, medial, superior
4. Basal , lateral, medial

Correct answer: 2. Apical, anterior, posterior

Explanation: The eparterial bronchus supplies the right upper lobe, which includes the segments : apical, posterior and anterior. Bronchopulmonary segments Lobe Right lung Left lung Superior lobe I. Apical II. Posterior III. Anterior I. Apical II. Posterior III. Anterior IV. Superior lingual V. Inferior lingual Middle lobe IV. Lateral V. Medial Inferior lobe VI. Superior (apical) VII. Medial basal VIII. Anterior basal IX. Lateral basal X. Posterior basal VI. Superior (apical) VII. Medial basal VIII. Anterior basal IX. Lateral basal X. Posterior basal Ref: Gray's Anatomy 41st edition Pgno: 958